Laryngocele arises as a herniation of laryngeal mucosa through which of the following membrane?
1. Thyrohyoid
2. Cricothyroid
3. Cricosternal
4. Cricotracheal

Correct answer: 1. Thyrohyoid

Explanation: An external laryngocele arises as a result of herniation of the laryngeal mucosa through the thyrohyoid membrane and presents in the neck.